Serum a-fetoprotein level is elevated in -
1. Endodermal cell tumor
2. Immature teratoma
3. Choriocarcinoma
4. Dysgerminoma

Correct answer: 1. Endodermal cell tumor

Explanation: Ans-Ai.e. "Endodermal cells a tumour" (Ref. Shaws, 12/e, p. 318, Novaks 13/e, p 1283).Alpha fetoprotein along with alpha-1-antitrypsin is secreted by endodermal cell tumours.These tumours are a second most common tumour of germ cell origin.